Which IUCD acts for 10 yrs -
1. Cu-T 200 B
2. Nova-T
3. Cu-T 380A
4. Multi load-250

Correct answer: 3. Cu-T 380A

Explanation: Ans. is 'c' i.e., Cu-T 380A "The Cu-T 380A is approved for use for 10 years. However, the Cu-T 380A has been demonstrated to maintain its efficacy over at least 12 years of use" . --Park Intra-uterine devices o An intrauterine device is a long acting reversible contraceptive birth control device placed in the uterus. o There are two basic types of IUD --> Non-medicated and medicated.